Not used in treatment of Rhinoscleroma
1. Stretomycin
2. Rifampicin
3. Chloramphenicol
4. Tetracyline

Correct answer: 3. Chloramphenicol